Daily salivary secretion is -
1. 250-500 m!
2. 1000-1500 ml
3. 2000-2500 ml
4. 3000 ml

Correct answer: 2. 1000-1500 ml

Explanation: Ans. is 'b' i.e., 1000-1500 ml Daily secretion of intestinal juicesDaily volume (ml)pHSaliva10006.0-7.0Gastric secretion15001.0-3.5Pancreatic secretion10008.0-8.3Bile10007.8Small intestine secretion18007.5-8.0Brunner's gland secretion2008.0-8.9Large intestinal secretion2007.5-8.0Total6700